Line joining greater trochantes and anterior superior iliac spine is
1. Schoemaker's line
2. Perkin's line
3. Nelton's line
4. Chiene's line

Correct answer: 1. Schoemaker's line